The heart of randomized control trial (RCT)
1. Protocol
2. Follow-up
3. Assessment
4. Randomization

Correct answer: 4. Randomization